Which cardiovascular condition during pregnancy has the highest maternal mortality rate ?
1. Primary pulmonary hypertension
2. Marfan's syndrome
3. Coarctation of the aorta
4. Mitral stenosis

Correct answer: 1. Primary pulmonary hypertension

Explanation: Primary pulmonary hypertension